In designing a retainer on a noncarious mandibular first premolar abutment with short clinical crown which of the following restorations is most appropriate?
1. A full crown
2. A reverse 3/4 crown
3. MOD onlay
4. Inlay

Correct answer: 1. A full crown